Hain test is/are used for:
1. Detection of INH resistance only
2. Detection of rifampicin resistance only
3. Detection of both rifampicin & INH resistance
4. Detection of resistance of all drugs of first line ATT

Correct answer: 3. Detection of both rifampicin & INH resistance

Explanation: Answer- C. Detection of both rifampicin & INH resistance"Genotype MTBDR plus ("HAIN test") qNAA and hybridization-based test use immobilized DNA probes on nitrocellulose membranes (line probe assay LPA) & Colorimetric change indicates hybridization.ldentifies M.tuberculosis and detects Rif & INH resistance in a day.